The staging system for thymoma was developed by:
1. Masaoka
2. Yokohama
3. Todani
4. Kluive

Correct answer: 1. Masaoka

Explanation: The staging system for thymoma was developed by Masaoka The stage is increased on the basis of the degree of invasiveness. The 5-year survival in stage I, 96%; stage II, 86%; stage III, 69%; stage IV, 50%. The French Study Group on Thymic Tumors (GETT) has modified the Masaoka scheme based on the degree of surgical removal. Ref: Harrison, E-18, chapter e-20.